Which of the following abdominal structure will be responsible for sharp pain while doing Abd. surgery ?
1. Parietal peritoneun
2. Liver parenchyma
3. Small intestine
4. Colon

Correct answer: 1. Parietal peritoneun

Explanation: Ans. is "a" Parietal peritoneum "Embryologically parietal peritoneum is derived from the somatopleural layer* of the lateral plate mesoderm. Its blood supply and nerve supply are the same as those of the overlying body wall. Because of the somatic innervation, it is pain sensitive." - BDC Anatomy All the abdominal viscera and the visceral peritoneum have the same nerve supply i.e. autonomic innervation and therefore are pain insensitive.